All of the following may cause metaststic tumour causing spinal cord compressions except:
1. Lung carcinoma
2. Breast carcinoma
3. Lymphoma
4. Meningioma

Correct answer: 4. Meningioma

Explanation: Answer is D (Meningioma): Meningiomas are not listed as a cause of metastatic tumors causing spinal cord compression. Tumors causing compression of spinal cord, include the following two major categories: Retroperitoneal tumors which extend , intervertebral foramen into the spinal cord and thus cause compression. Examples include : Lymphoma, sarcomas. Those which metastasize to the spine : These are most common from the breast, lung, prostate, kidney Lymphomas and plasma cell dyscrasias (multiple myeloma)Q Remember : Most common site for metastasis to spine is : thoracic segmentQ Most common site for metastasis to spine from CA prostate and CA ovary is sacral and Lumber vertebrae